The best view for visualising the sell., turcica in X-ray is:
1. AP views
2. Oblique view
3. Open mouth view
4. Lateral view

Correct answer: 4. Lateral view

Explanation: Ans. Lateral view